Overweight BMI??
1. 25 to 29.99
2. 15-18
3. 18-20
4. None

Correct answer: 1. 25 to 29.99

Explanation: Ref-Park's textbook of preventive and social medicine 24th edition. .